The increasing order of potency of estrogens is (least potent to most potent) ?
1. E1,E2,E3
2. E1,E3,E2
3. E3, E1, E2
4. E2, E1, E3

Correct answer: 3. E3, E1, E2

Explanation: Estradiol (E2) is most potent, followed by Estrone (E1), and Estriol (E3) is least potent